Trypsin is a:
1. Serine protease
2. Lecithinase
3. Phospholipase
4. Elastase

Correct answer: 1. Serine protease

Explanation: Ans: a (Serine protease)Ref: Vasudevan & Sreekumari, 6th, edi., Pg. 44Serine proteases-- they are enzymes with serine residue at the active site and most proteolytic enzymes belong to this group example, trypsin, chymotrypsin, elastase and clotting factors.Phospholipases are enzymes that hydrolyze phospholipids.There are four type of phospholipases -A1, A2, C and D Phospholipase A2 act on an intact lecithin molecule. The products are lysolecithin and fatty acid.Lysolecithin is a detergent and haemolytic agent.The enzyme present in the venom of viper snakes.The haemolysis and consequent renal failure seen in viper poisoning could be thus explained.Pancreatic juice contains important endopeptidases namelytrypsin, chymotrypsin, elastase and carboxypeptidase.These enzymes are also secreted as zymogens, so that the pancreatic acinar cells are not autolysed.Optimum pH for the activity of pancreatic enzyme is pH 8.The secretion of pancreatic juice is stimulated by peptide hormone, CCK - PZ.